Dietary cycle is weighing of raw foods over a period of
1. 1 day
2. 3 days
3. 7 days
4. 10 days

Correct answer: 3. 7 days